All of the following are true about Scalenus anterior muscle:
1. It is attached to the tubercle of second Rib
2. It is anterior to the transverse cervical artery.
3. It is pierced by the phrenic nerve.
4. It separates the subclavian vein from the subclavian artery

Correct answer: 4. It separates the subclavian vein from the subclavian artery

Explanation: It separates the subclavian vein from the subclavian artery The scalene muscles are a group of three pairs of muscles in the lateral neck, namely the scalenus anterior, scalenus medius, and scalenus posterior. These extend from the transverse processes of the cervical vertebrae to the first two ribs. Thus they help to either elevate the ribs of bend the neck laterally.Of these scalenus medius is the largest and scalenus posterior is the smallest.